Not obtained from plant source -
1. Cobalamine
2. Riboflavin
3. Thiamine
4. VitaminA

Correct answer: 1. Cobalamine

Explanation: Ans. is 'a' i.e., Cobalamine o Vitamin B12 (cobalamin or cynocobalmin) is present only in food of animal origin,o Other three vitamins can be taken from plant source.NameActive formSourcesDaily requirementsFunctionsDeficiency manifestationsFAT SOLUBLE VITAMIN SVitamin A (Ratinol)Retinol, Retinal, Retinoic acidFish liver oils milk, milk products. Green leafy vegetables, carrots, yellow and red fruits800-1000 retinol equivalentsRetinal and retinol are involved in vision. Retinoic acid regulates the expression of gene during growth and development. AntioxidantNight blindness xerophthalmia formation of Bitot's spots, dry, rough and scally skin.Retardation of growth in children.Vitamin D (Cholecatci- ferol)l, 25-Dihydroxy- cholecaiciferolCod liver oiL sunlight induced synthesis of vitamin D3. in skin egg yolk200-400 IURegulation of the plasma! of calcium and phosphorus, calcification of boneRickets (in children) Osteomalacia (in adults)Vitamin E (a-Tocopherol)a-tocopherolSoya and com oils, germ oil, fish oil. eggs, alfalfa8-10 tngNatural antioxidant and acts as a scavenger of free radicals. Protects the RBCs from hemolysis. Prevents peroxidation of PUFA in cell membraneHemolytic anemia. Retrolental fibroplasia (RLF) in premature infantsVitamin KPhylloquinone (Vitamin K1) Menaquinone (Vitamin K2)Green leafy vegetables, tomatoes, cheese, meat egg yolk70-140 gRequired for activation of blood dotting factors Required! for g carboxylation of glutamic acid residue in clotting and oseocalcin proteinsHemorrhagic disorder, increased clotting timeSameActive formSourcesDaily-requirementsFunctionsDeficiency manifestationsWATER SOLUBLE VITAMINSThiamine (Vitamin B1)TPPCereals, meat, ruts green vegetables, eggs1.0-1.5 mgCoenzyme for oxidative decarboxylation and transketolase reactionsBeriberi, Wernicke Korsakoff syndromeRiboflavin (Vitamin B2)FMN, FADYeast, germinating, seeds green leafy vegetalbes, milk, eggs, liver, meat1.3-1.7 mgCoenzyme for oxidation reduction reactionsCheilosis, glossitis, dermatitis vascularization of corneaNiacin (Vitamin B3)NAD+ and NADP+Yeast, legumes, liver, meat15-20 mgCoenzyme for oxidation reduction reactionsPellagraPantothenic acid (Vitamin B5)Cocnzyme A, (CoA-SH)Wheat germs, cereals, yeast, liver, eggs5-10 mgAcyl carrierBurning feet syndromePyriodoxin (Vitamin B6)PLPYeast, unrefined cereals, pulses, vegetables, meat, fish, egg yolk1.6-2 mgCoenzyme for transami- nation, decarboxylation, non-oxidative deamination, trans-sulfuration reactionsEpileptic convulsions dermatitis, hypochronic microcytic anemiaBiotin (Vitamin B7.)Biocytin (Enzyme bound biotin)Liver, kidney, egg yolk vegetables150-300 gCoenzyme for carboxylation reactionsRare dermatitisFolic acid (Vitamin B9)THF (Tclrahydrofolic acid)Green leafy vegetables, liver, yeast200 gCarrier of one carbon unit. Synthesis of methionine, purines and pyrimidinesMegaloblastic anemia. Neural tube defectsCynocobalamin (Vitamin B12)Methylcobalamin.Deoxyadeno- sylcobalaminOnly animal origin, meat, egg, liver, ftsh3 gCoenzyme for reach ns: Homocysteine to Methionine. Methylmalonyl-CoA to SuccinvI-CoAPernicious anemia Megaloblastic anemia Neuropathy (dementia) Methylmalonic aciduriaAscorbic acid (Vitamin C)Ascorbic acidCitrus fruits, Amla, leafy vegetables, tomatoes60-70 mgAntioxidant, involved in hydroxy lation reactins in the synthesis collagen, steroid hormones, adrenaline, etc. facilitates absorption of iron from intestine.Scurvy